5-nucleotidase activity is increased in
1. bone disease
2. prostate cancer
3. chronic renal failure
4. cholestatic disorders

Correct answer: 4. cholestatic disorders